Ankle edema caused by calcium channel blockers is prevented by
1. Propanalol
2. Adrenaline
3. Ropinirole
4. ACE inhibitors

Correct answer: 4. ACE inhibitors

Explanation: Calcium channel blockers can lead to ankle edema caused by precapillary dilation of vessels.
ACE inhibitors or Angiotensin Receptor Blockers can Prevent the edema by causing postcapillary dilation of vessels.